Standard treatment of whole-brain radiotherapy (WB) for brain Metastasis :
1. 20 grays (Gy) in 10 fractions
2. 30 grays (Gy) in 10 fractions
3. 30 grays (Gy) in 5 fractions
4. 15 grays (Gy) in 10 fractions

Correct answer: 2. 30 grays (Gy) in 10 fractions

Explanation: Ans. B, 30 grays (Gy) in 10 fractionsWhole-brain radiotherapy (WB) to 30 grays (Gy) in 10 fractions - Standard treatment in patients with multiple brain metastases.Current study investigated the potential benefit of dose escalation beyond 30 Gy.